As Per WHO 2017 Global Recommendation, the latest addition to the treatment of postpartum hemorrhage is:
1. Late cord clamping is recommended for all births
2. Oxytocin 10 U IV/IM is the recommended uterotonic drug in the prevention of PPH
3. Intravenous oxytocin alone is the recommended uterotonic drug for the treatment of PPH
4. Early use of intravenous tranexamic acid is recommended in all cases of PPH

Correct answer: 4. Early use of intravenous tranexamic acid is recommended in all cases of PPH

Explanation: The latest update in treatment of postpartum hemorrhage (PPH) as per WHO 2017 Global recommedations is the early use of intravenous tranexamic acid (a competitive inhibitor of plasminogen activation) is recommended in all cases of PPH. PPH is leading cause of maternal morbidity worldwide and in India. WHO 2012 recommendations included a conditional recommendation to use TXA for treatment of PPH when uterotonics fail to control the bleeding or the bleeding is thought to be due to trauma. In 2017, WHO updated its 2012 PPH treatment recommendations to include use of TXA for treatment of PPH. WHO 2017 Global recommendation, latest addition to the treatment of PPH: Early use of intravenous tranexamic acid (TXA) within 3 hours of birth for women with clinically diagnosed postpartum (PPH) TXA should be used in all cases of PPH, regardless of the cause TXA should be administered at a fixed dose of 1g in 10 ml (100 mg/ml) IV at 1 ml per minute (i.e., administered over 10 minutes), with a second dose of 1 g IV bleeding continues after 30 minutes. TXA should be adminstered an IV route only for treatment of PPH. WHO recommendations for the prevention and treatment of Postpartum haemorrhage (2012) Oxytocin (10 IU, IV/IM) is the recommended uterotonic drug for the prevention of PPH. Intravenous oxytocin alone is the recommended uterotonic drug for the treatment of PPH. If oxytoxin is unavailable, other injectables uterotonics (ergometrine/methylerogometrine or the fixed drug combination of oxytocin and ergometrine) or oral misoprostol (600 microgm) is recommended. Late cord clamping (performed after 1 to 3 minutes after birth) is recommended for all births Controlled cord traction is the recommended method for removal of the placenta in caesarean section Ref: World Health Organisation